Nelson syndrome is seen following
1. Cholecystectomy
2. Spleenectomy
3. Duodenectomy
4. Adrenalectomy

Correct answer: 4. Adrenalectomy

Explanation: Nelson's syndrome also referred to as post adrenalectomy syndrome occurs following bilateral adrenalectomy in patients with pituitary dependant Cushing's syndrome. The common symptoms include: hyper-pigmentation of the skin, visual disturbances, headaches, abnormal high levels of beta-MSH and ACTH, abnormal enlargements of the pituitary gland(invasive pituitary macroadenoma), interruption of menstrual cycles in women.Reference : page 776 Davidson's principles and practice of Medicine 22nd edition